Which of the following anaesthetic is safe in heart failure –
1. Etomidate
2. Propofol
3. Thiopentone
4. Ketamine

Correct answer: 1. Etomidate